Commonest site for lymphoma in GIT is :
1. Stomach
2. Duodenum
3. Ileum
4. Rectum

Correct answer: 1. Stomach

Explanation: Ans is 'a' ie stomach "The stomach is the most frequent extranodal site for lymphomas. Microscopically, the vast majority of gastric lymphoid tumors are non-Hodgkins lymphomas of B cell origin, Hodgkin's disease involving the stomach is extremely uncommon. " - Harrison